A patient sustained a hyperextension injury to his knee. Which of the following ligament prevents excess - anterior gliding movement of femur on tibia?
1. Anterior cruciate ligament
2. Posterior cruciate ligament
3. Medial collateral ligament
4. Lateral collateral ligament

Correct answer: 2. Posterior cruciate ligament

Explanation: *ACL- prevents anterior gliding of tibia on femur *PCL- prevents posterior gliding of tibia on femur Ref: sports medicine 4th/e p.83